Chain of lakes appearance is seen in-
1. Acute pancreatitis
2. Chronic pancreatitis
3. Carcinoma pancreas
4. Ductal adenoma

Correct answer: 2. Chronic pancreatitis

Explanation: Ans. is 'b' i.e., Chronic pancreatitis * On ERCP beaded appearance due to alternating dilatation and stenosis gives "Chain of lakes" appearance or 'string of pearl' appearance or 'hourglass' appearance.Other ERCP findings of chronic pancreatitisA. Diffuse pancreatic duct dilatation.B. Rat tail stricture ofCBD: - Long smooth narrowing of the CBD with graded tapering of the distal segment due to periductal fibrosis.C. Small, round or oval, pancreatic parenchymal cavities.D. Intraluminal filling defects due to protein plugs or calculi.